Soft water has hardness levels of
1. 50
2. 100
3. 150
4. 200

Correct answer: 1. 50

Explanation: Ans. is 'a' i.e., 50